Which of the following bones is not part of the medial arch of the foot?
1. Cuneiform bones
2. Navicular
3. Calcaneus
4. Cuboid

Correct answer: 4. Cuboid

Explanation: The medial arch of the foot consists of the talus, calcaneus, cuneiforme, and the three medial metatarsal bones. The cuboid bone belongs to the lateral arch of the foot together with the calcaneus, and the two remaining metatarsal bones. Ref: Last's Anatomy Regional & Applied, 9th Ed, page 210